COMMONEST cause of sensory ganglionopathy among the following is:
1. Sjogren syndrome
2. Hypothyroidism
3. Diabetes
4. HIV

Correct answer: 1. Sjogren syndrome

Explanation: Sensory ganglionopathy causes severe sensory ataxia. Most common causes of sensory ganglionopathies are Sjogren syndrome and a paraneoplastic neuropathy. ALSO KNOW: In paraneoplastic sensory ganglionopathy, anti-neuronal nuclear antibodies -(anti-Hu antibodies) is seen. It is most commonly seen in patients with small cell carcinoma of the lung. Ref: Harrison, Edition-18, Page-3450